Imatinib mesylate is most useful in the treatment of-
1. Chronic lymphoid leukaemia
2. Chronic myeloid leukaemia
3. Acute myeloid leukaemia
4. Acute lymphoid leukaemia

Correct answer: 2. Chronic myeloid leukaemia